Restrosternal tumor cause -
1. Bluish discolouration of the face
2. Edema of face
3. can occur in thyroid tumors
4. All

Correct answer: 4. All